A 70 kg young athlete was planned for surgery. During anesthesia, vecuronium was not available, so repeated doses of succinylcholine was given intermittently up to 640 mg. During recovery, the patient was not able to spontaneously respire and move limbs. What is the cause?
1. Pseudocholinesterase deficiency
2. Phase II blockade
3. Muscle weakness due to repeated fasciculations
4. Undiagnosed muscular dystrophy

Correct answer: 2. Phase II blockade